Which of these following is not an effect of insulin?
1. Decreased gluconeogenesis
2. Increased glycogenolysis
3. Increased transport of glucose into cells
4. Induction of lipoprotein lipase

Correct answer: 2. Increased glycogenolysis